Reactionary hemorrhage occurs within
1. 1-2 days
2. 2-7 days
3. < 24 hours
4. After 7 days

Correct answer: 3. < 24 hours

Explanation: Reactionary haemorrhage commonly occurs in the first 24 hours after surgery, It may be caused by slippage of a ligature, displacement of blood clot, cessation of vasospasm, after coughing or increased mobility Bailey and Love 26th edition pg 19